McEwen's triangle is a landmark for
1. Antral drain
2. Mastoid surgery
3. Submucous resection
4. Uncinectomies

Correct answer: 2. Mastoid surgery

Explanation: Mac Ewen's (Suprameatal) Triangle: Boundaries of the triangle are: a. Anteriorly: posterosuperior border of the bony external auditory canal along with the spine of Henle. b. Posteriorly: a vertical line drawn tangential to the posterior margin of the external, canal. c. Superiorly: the supramastoid crest. It is land mark for exposure of lateral surface of mastoid.